True about first order kinetics is -
1. Dose dependent elimination occurs
2. Rate of elimination decrease with increase plasma concentration
3. Rate of elimination does not depend on plasma concentration of drug
4. Clearance is constant

Correct answer: 4. Clearance is constant

Explanation: Ans. is 'd' i.e., Clearance is constant Clearance is constant in first order kinetics